A patient has the following fmdings-splenomegaly,low RBC count, normal WBC, and platelet count and peripheral blood smear shows teat drop cells. epeated BM aspiration is unsuccessful. The probable diagnosis is -
1. Thalassemia
2. Chronic myeloid leukemia
3. Iron deficiency anaemia
4. Myelofibrosis

Correct answer: 4. Myelofibrosis